Antibody seen in neonatal lupus with congenital heart block:
1. Anti-ribosomal
2. Anti-Ro (SS-A)
3. Anti-neuronal
4. Anti-histone

Correct answer: 2. Anti-Ro (SS-A)

Explanation: b. Anti-Ro (SS-A)(Ref: Nelson's 20/e p 1176-1180, Ghai 8/e p 628)Anti-Ro/La (SS-A against hY RNA is seen in Sicca syndrome, neonatal lupus with congenital heart block.